Which does not cause hypoglycemia?
1. Insulin
2. Glimipiride
3. Nateglinide
4. Acarbose

Correct answer: 4. Acarbose

Explanation: Ans. is 'd' i.e., Acarbose Acarbose is group 2 hypoglycemic agent and does not cause hypoglycemia as adverse effect. o Insulin, glimipiride (group 1 hypoglycemic) and nateglinide (group 1 hypoglycemic) cause hypoglycemia.